Physostigmine was therapeuticallyused for the first time in treatment of glaucoma in 1877 by –
1. Laqueur
2. Posselt and Reiman
3. Ahlquist
4. Sir James Black

Correct answer: 1. Laqueur

Explanation: Laqueur
Posselt and Reiman isolated nicotine from the leaves of Nicotiana tabacum.
Ahlquist gave the hypothesis that adrenaline acts on different sets of receptors, later named as α and β.
Sir James Black synthesized the first β-blocker, dichloroisoproterenol, and subsequently, propranolol.